Multifactorial causation of disease theory was proposed by -
1. Louispasteur
2. Pettenkofer
3. Robertkoch
4. Aristotle

Correct answer: 2. Pettenkofer

Explanation: Ans. is 'b' i.e.. Petfenkofer o Germ theory of disease - Louis pasteuro Spontaneous generation theory' - Aristotleo Multifactoriai causation of disease -Pattenkoffer.o Intake of fresh (citrus) fruits in prevention of scurvy - James Lindo Term 'Vaccination' - Edwrard Jennero Term ' Vaccine' - Louis Pasteuro Life cycle of plasmodium - Ronald Rosso Transmission of yellow fever - Walter Reedo First vaccine developed - Small pox (Edward Jenner)o First antibiotic - Penicillin (Alexander Fleming)o Growth chart - David Moley